Most common cause of spontaneous hypoglycaemia in non-diabetic individual is:
1. Insulin
2. Oral hypoglycaemic agents
3. Von Gierkes disease
4. Alcohol consumption

Correct answer: 4. Alcohol consumption

Explanation: Ans: D i.e. Alcohol consumption Hypoglycemia Hypoglycemia most commonly occurs as a side-effect of treatment with insulin or sulphonylurea drugs in people with diabetes mellitus In non-diabetic individuals, symptomatic hypoglycaemia is rare. In non-diabetic individuals, alcohol excess is the most common cause of hypoglycaemia in the UK, but other drugs (salicylates, quinine etc.) may be implicated